Each of the following viruses possesses an outer 
lipoprotein envelope except
1. Varicella Zoster Virus
2. Papilloma Virus
3. Influenza Virus
4. Human immunodeficiency virus

Correct answer: 2. Papilloma Virus